First line drug used for painful diabetic neuropathy is ?
1. Carbamazepine
2. Duloxetine
3. Venlafaxine
4. EMLA

Correct answer: 2. Duloxetine

Explanation: Chronic, painful diabetic neuropathy is difficult to treat but may respond to duloxetine, amitriptyline, gabapentin, valproate, pre- gabalin, or opioids. Two agents, duloxetine and pregabalin, have been approved by the U.S. Food and Drug Administration (FDA) for pain associated with diabetic neuropathy, but no treatments are satisfactory. Reference : page 2427 Harrison's Principles of Internal Medicine 19th edition